Percentage of children with recurrence in febrile seizures -
1. 5-10%
2. 10-20%
3. 20-25%
4. 25-50%

Correct answer: 4. 25-50%

Explanation: Ans. is 'd' i.e., 25-50% o Recurrent febrile seizures occur in 30-50% of cases.